During cranial nerve examination, a neurologist asks her 33 year old patient to protrude his tongue. On doing so, her tongue deviates to the right side. This finding results from paralysis of tongue muscle namely
1. Genioglossus
2. Styloglossus
3. Palatoglossus
4. Hyoglossus

Correct answer: 1. Genioglossus

Explanation: Genioglossus